Delta-sign is seen in
1. Petrositis
2. Acute mastoiditis
3. Sigmoid sinus thrombosis
4. Glomus tumor

Correct answer: 3. Sigmoid sinus thrombosis

Explanation: Delta-sign is seen in sigmoid sinus thrombosis. Contrast-enhanced CT scan can show sinus thrombosis by typical delta sign. It is a triangular area with rim enhancement, and the central low-density area is seen in a posterior cranial fossa on axial cuts. "Delta sign" may also be seen on contrast-enhanced MRI. (Ref: Textbook of diseases of ENT, PL Dhingra, 7th edition, pg no. 92,93)